Vaccine for meningococcal meningitis should be routinely given to -
1. Laboratory workers
2. Young adolescents
3. 4-8 years old children
4. Elderly population

Correct answer: 2. Young adolescents

Explanation: Meningococcal Vaccine Recommendations:

Routinely:

– All adolescents 11-12 years age (1st dose at 11-12 years age, followed by Booster dose at 16 years age)

Other groups:

– Adolescents 13-18 years
– Young people 19-21 years
– 2 years and above (Splenectomized/ Chronic diseases/Lab workers/Travelers to endemic areas)